Following is an example of unusual base:
1. Dihydrouracil
2. Adenine
3. Guanine
4. Uracil

Correct answer: 1. Dihydrouracil

Explanation: Dihydrouracil is an unusual base. The usual bases: Adenine guanine thymine uracil cytosine